Oral examination of a 57-year-old female reveals white patch which cannot be scrapped off on buccal mucosa. She has no feature suggestive of immunosuppression. Which of the following is the diagnosis of this patient ?
1. Hairy leukoplakia
2. Leukoplakia
3. Erythroplakia
4. Thrush

Correct answer: 2. Leukoplakia

Explanation: - Given features suggests the diagnosis of leukoplakia. LEUKOPLAKIA: - White patch/ plaque that cannot be scraped off & cannot be characterized clinically or pathologically as any other disease. - Thus, until proven otherwise by histologic evaluation, all leukoplakias must be considered precancerous. - Seen in adults at any age but typically affect individuals b/w 40 - 70 yrs of age with 2:1 male predominance. OTHER OPTIONS: - Hairy leukoplakia is most commonly seen in immunocompromised pts - Erythroplakia is red, velvety, sometimes eroded lesion that is flat or slightly depressed relative to surrounding mucosa. - Thrush is characterized by superficial, curd like, gray to white inflammatory membrane composed of matted organisms enmeshed in fibrino-suppurative exudate that can be readily scraped off to reveal underlying erythematous base.